The treatment of choice in duodenal atresia -
1. Gastrojejunostomy
2. Duodenojejunostomy
3. Bishop koop prodcedure
4. Duodenoduodenostomy

Correct answer: 4. Duodenoduodenostomy